Increase in ICT is due to:
1. Ketamine
2. Bupivicaine
3. Procaine
4. Prolicaine

Correct answer: 1. Ketamine

Explanation: Ketamine